A crystal in metal substructure is:
1. Grain
2. Nucleus
3. Stroma
4. None

Correct answer: 1. Grain